CD marker specific for myeloid series is:
1. CD34
2. CD45
3. CD99
4. CD117

Correct answer: 4. CD117

Explanation: . CD117